In spinal anaesthesia the drug is deposited between:
1. Dura and arachnoid
2. Pia and arachnoid
3. Dura and vertebra
4. Into the cord substance

Correct answer: 2. Pia and arachnoid

Explanation: Local anesthetic is injected into sub arachnoid space between L2-3or L3-4 below the lower end of spinal cord. The drug acts on nerve roots. From padmaja 4th edition Page no 205